String sign in angiography is suggestive of:
1. Arterial dissection
2. Aorta aneurysm
3. Stroke
4. None of the above

Correct answer: 1. Arterial dissection

Explanation: Traditional angiography remains the basis of diagnosis and characterization of arterial dissection. Angiographic abnormalities include stenosis of the true lumen, or "string-sign," visible intimal flaps, and the appearance of contrast in the false lumen. Four-vessel cerebral angiography should be performed when suspicion of dissection exists. Ref: Schwartz's principle of surgery 9th edition, chapter 42.